All are included in Manning Score except :
1. Breathing
2. Non stress test
3. Movement
4. Vibroacoustic recording

Correct answer: 4. Vibroacoustic recording

Explanation: Vibroacoustic recording